Extragonadal germ cell tumors occur in all of following except -
1. Sacrococcygeal region
2. Mediastinum
3. Brain
4. Testis

Correct answer: 4. Testis

Explanation: Ans. is 'd' i.e., TestisExtragonadal germ cell tumors occur at :?Mediastinum ----> M.C. site. 3. Sacrococcygeal region -----> Sacrococcygeal teratoma.Retroperitoneum ----> 2nd M.C. site. 4. Pineal gland